Average menstrual flow during normal menses is?
1. 50ml
2. 100ml
3. 90ml
4. 120ml

Correct answer: 1. 50ml

Explanation: Ans. is 'a' i.e., 50mlAverage amount of blood loss during normal mensturation is 30-40 ml per cycle.Heavy bleeding is considered if blood loss is more than 60-80 ml per cycle.